Misoprostol used in the induction of labour is an analogue of which of the following type of prostaglandin?
1. PG E1
2. PG E2
3. PG I2
4. PG F2alpha

Correct answer: 1. PG E1

Explanation: Misoprostol is a methyl ester of PGE1. Indications of Misoprostol: It is used for cervical ripening. Transvaginally it is used for induction of labour. Uses of Prostaglandins in Obstetrics: Induction of abortion Termination of molar pregnancy Induction of labour Cervical ripening prior to induction of labour Acceleration of labour Management of atonic postpartum hemorrhage Medical management of tubal ectopic pregnancy Ref: Textbook of Obstetrics By DC Dutta 6th edn page 504.